Which of the following mutations in a tumor suppressor agent causes breast carcinoma:-
1. p 43
2. p 53
3. p 73
4. p 83

Correct answer: 2. p 53

Explanation: Ans. is 'b' p53 Mutation is p53 tumor suppressor gene is strongly associated with breast cancer, as well as many other sarcomas and carcinomas.This syndrome of multiple sarcomas and carcinomas, associated with mutation of p53 gene is k/a Li-Fraumeni syndrome*.